All are seen in carcinoid syndrome except
1. Diarrhoea
2. Constipation
3. Liver metastasis
4. 5-HT secretion

Correct answer: 2. Constipation

Explanation: Ans. is 'b' i.e., Constipation